All 5–HT receptors are heptahelical serpentine receptors EXCEPT :
1. 5–HT1
2. 5–HT2
3. 5–HT3
4. 5–HT4

Correct answer: 3. 5–HT3

Explanation: All serotonin receptors are G-protein coupled receptors except 5-HT3, which is an anisotropic receptor.